Pruritis of vulva may be a symptom of:
1. Candidiasis
2. Trichmoniasis vaginitis
3. Early carcinoma of vulva
4. All of the above

Correct answer: 4. All of the above

Explanation: Ans. D.)All of the above. Pruritus vulvae is itchiness of the vulva. Causes:Itch due to infections Candida albicans infection (vulvovaginal thrush) is the most important microorganism to consider in a postpubertal woman with vulval itch. Bacterial vaginosis causes a frothy, malodorous discharge, and uncommonly causes vulval itch, possibly as a result of contact dermatitis. Genital viral warts are often itchy. Pinworms can reside in the vagina or anus and cause itch when they exit at night. Infections that rarely cause vulval itch include cytolytic vaginosis (associated with vaginal lactobacilli) and trichomoniasis. Itch due to an inflammatory skin condition Irritant contact dermatitis is the most common cause of an itchy vulva at all ages. It may be due to diverse causes, including: Age-related prepubertal or postmenopausal lack of oestrogen Underlying tendency to atopic dermatitis Scratching for another reason Friction from skin folds, clothing, activity, or sexual intercourse Moisture due to occlusive underwear Urine and/or faeces Soap or harsh cleanser Frequent washing Inappropriate or unnecessary chemical applications, including over-the-counter or prescribed medications Fissuring of the posterior fourchette Normal, excessive or infected vaginal secretions Severe vulval itch may be due to: Lichen simplex Lichen sclerosus Lichen planus Other common skin disorders that may cause vulval itch include: Psoriasis Seborrhoeic dermatitis Allergic contact dermatitis* Irritant or allergic contact urticaria Dermographism Folliculitis *Potential vulval allergens include: Methylisothiazolinone, a preservative in moist wipes Various textile dyes in underwear Fragrance in a douche or antiperspirant Rubber accelerants in condom, menstrual cup or underwear Latex rubber and semen are potential causes of contact urticaria. Itch due to neoplasia Benign and malignant neoplastic disorders of the vulva are often asymptomatic in their early stages, but they can cause itch. The most common cancerous lesions are: Squamous intraepithelial lesions (SIL, also known as vulval intraepithelial neoplasia or VIN) Extramammary Paget disease Invasive vulval cancer (squamous cell carcinoma) Itch due to neuropathy